Serial extractions are indicated in patients who have:
1. Class II molar relation
2. Excessive overbite
3. Class I molar relation
4. Class III molar relation

Correct answer: 3. Class I molar relation